All are features of viable bowel, except:
1. Vascularity
2. Musculature
3. Presence of food
4. Shiny peritoneum

Correct answer: 3. Presence of food

Explanation: Ans: c (Presence food) Ref: Bailey & Love, 24th ed, p. 1191Presence of food in the intestine is not a sign of viability.Differentiation b/w viable and non-viable intestineIntestineViableNon-viableCirculationDark colour becomes lighterMesentery bleeds if prickedDark colour remainsNo bleeding if prickedPeritoneumShinyDull & lusterlessIntestinalFirmFlabby, thin & friablemusculaturePressure rings may or mayPressure rings persist not disappearPeristalsisPeristalsis may be observedNo peristalsis